All are included in Amsler's criteria, EXCEPT:
1. Vaginal pH <4.5
2. Positive amine test
3. Clue cells> 20% of total vaginal epithelial cells
4. Homogenous thin discharge

Correct answer: 1. Vaginal pH <4.5

Explanation: Amsler's criteria used for the diagnosis of bacterial vaginosis is based on clinical & lab indicators: Vaginal pH >4.5, alkaline Positive amine test Clue cells> 20% of total vaginal epithelial cells Homogenous thin discharge Scanty / absent lactobacilli 3 out of 5 criteria suggests this diagnosis Ref: Sexually transmitted infections, Bhushan Kumar, 2nd edition pg 673.